The methods of modifying stainless steel crowns for primary teeth were given by:
1. Garcia-Godoy
2. Humphrey
3. Mink and Hill
4. Michelle and Johnson

Correct answer: 3. Mink and Hill

Explanation: In 1971, Mink and Hill reported several ways of modifying the stainless steel crown when the crowns are either too large or too short.